Worst prognosis of associated with which of the following lung cancer?
1. Small cell carcinoma
2. Adenocarcinoma
3. Squamous cell carcinoma
4. Oat cell carcinoma

Correct answer: 1. Small cell carcinoma

Explanation: Ans. is 'a' i.e. Small cell carcinoma * Small cell carcinomas are the most aggressive of lung tumors, metastasize widely and are virtually incurable by surgical means.